Sharp pain is transmitted by which type of fibres?
1. Aa
2. Ab
3. Ad
4. C

Correct answer: 3. Ad

Explanation: Ans. is 'c' i.e., AdSharp somatic pain (fast pain) is carried by AS fibres.Pain is carried by two types of fibers : ?i) Ad - These are relatively fast. Therefore the pain carries by these is fast pain (epicritic pain or first pain).ii) C - These are slow, therefore the pain carries by these is slow pain (protopathic pain or second pain).